Which of the following is true about single donor platelet transfusion?
1. Equal to 6-8 random donor platelets
2. Stored in 2-6 degree
3. 10 days shelf life
4. Bedside leukodepletion done

Correct answer: 1. Equal to 6-8 random donor platelets

Explanation: Platelets has two important source- RDP - -old blood (slow )- PRP -(high) Platelets 20- 24deg C (agitation) 3-5 days 1 unit/10kg BW DISADVANTAGES - Platelets of multiple donors - recipient sensitized SDP - -donor only given platelets 6-8 RDP | Alloimmunization Leucodepletion not required stored at room temp